Dogs are responsible for transmission of all the following except -
1. Hydatid disease
2. Toxoplasmosis
3. Kala-azar
4. Toxocara canis

Correct answer: 2. Toxoplasmosis

Explanation: Definitive host- cat and other felinies Intermediate host- humans (refer pgno:64 baveja 3 rd edition)